Trifoliate appearance is in –
1. Peptic ulcer
2. Pyloric stenosis
3. Carcinoma head of pancreas
4. None

Correct answer: 1. Peptic ulcer

Explanation: The appearance of 'trifoliate duodenum' is due to secondary duodenal diverticula which occurs as a result of scarring of peptic ulcer.